First extensor compartment of wrist have which of the following structures
1. Extensor pollicis brevis
2. Extensor carpi radialis longus
3. Extensor carpi radialis brevis
4. Extensor digiti minimi

Correct answer: 1. Extensor pollicis brevis

Explanation: Tendon of extensor carpi radialis longus and extensor carpi radialis brevis pass through the second compartment of extensor retinaculum.Tendon of extensor digiti minimi passes through the sixth compartment.B D Chaurasia 7th edition Page no: 137